Tape worm is found in -
1. Stomach
2. Liver
3. Ileum and jejunum
4. Caecum

Correct answer: 3. Ileum and jejunum

Explanation: The adult worm lives in the human intestine, usually in the jejunum, where it lies in several folds in the lumen. Commonly only a single worm is present, but rarely several worms may be seen, upto 25 or more in a patient Ref: panickers textbook of Medical parasitology 8th edition ...page :115